Okazaki fragments are found during
1. Replication
2. Translation
3. Translocation
4. Transcription

Correct answer: 1. Replication

Explanation: DNA synthesis is always into 5' to 3' direction in both strands The strand which is discontinuously synthesized is referred to as the 'lagging strand ' otherwise called the retrograde strand The small DNA molecules attached to its own primer RNA are called Okazaki fragments The synthesis along the lagging strand is in 5' to 3' directionRef: DM Vasudevan, 7th edition, page no: 580, 581